Mainly in which form, carbohydrates are absorbed from gut:
1. Sucrose
2. Disaccharide
3. Glucose
4. Polysaccharide

Correct answer: 3. Glucose

Explanation: Polysaccharides such as starch & glycogen yield glucose units on hydrolysis. The major carbohydrate in diet is Starch. Starch on hydrolysis yield Glucose units. Also, most of the disaccharides yield glucose units on hydrolysis. Sucrose on hydrolysis yields glucose and fructose. Hence carbohydrates are mainly absorbed from gut in the form of glucose